Posterior relation of portal vein -
1. I' part of duodenum
2. Hepatic artery
3. Bile duct
4. IVC

Correct answer: 4. IVC

Explanation: Ans. is 'd' i.e., IVC The portal vein is about 8 cm long. It is formed by the union of the superior mesenteric veins and the splenic vein behind the neck of the pancreas at the level of the second lumbar vertebra. The inferior mesenteric vein drains into the inferior mesenteric vein. Important facts about portal vein 8 cm long The blood flow is slow Stream line flow :- Blood in superior mesentric vein drains, into right lobe of liver. Blood in splenic and inferior mesentric vein drains into left lobe. Relations Infraduodenal part Anterior :- Neck of pancreas Posterior :- IVC Retroduodenal part Anterior :- Ppa of duodenum, bile duct, gastroduodenal artery Posterior :- IVC Supraduodenal part Anterior :- Hepatic artery, bile duct. Posterior :- IVC, separated by epiploic formen Development of Portal vein : Infra-duodenal part - part of left vitelline vein distal to the dorsal ansatomosis Retro-duodenal part - dorsal anastomosis between two vitelline veins Supra-duodenal part - cranial part of right vitelline vein The portal vein receives the following veins : Splenic vein Superior mesenteric vein Left gastric Right gastric Superior pancreatico-duodenal Cystic Paraumbilical veins